To prevent keratoconus what is used -
1. Antibiotics
2. Cycloplegics
3. Glasses
4. None

Correct answer: 4. None

Explanation: Treatment of keratoconusFalling vision may not be corrected by glasses due to irregular astigmatism. Contact lenses (rigid gas permiable) usually improve the vision in early cases. In later stages penetrating keratoplasty may be required. Intacs, the intracorneal ring segments, are reported to be useful in early cases.Reference:Comprehensive ophthalmology,AK Khurana,4th edition,page no.120